Which of the hormone secretion is increased if pituitary stalk is transected?
1. Prolactin
2. ACTH
3. GH
4. None

Correct answer: 1. Prolactin

Explanation: Ans. a (Prolactin) (Ref. H - 18th/pg. 50, 351)Pituitary stalk transection syndrome is relatively frequent and should be suspected after cranial trauma or fetal distress syndrome. The outcome is progressive evolution towards panhypopituitarism and these patients require regular clinical survey and hormonal controls.The following are causes of increased prolactin secretion:1. Pregnancy2. Stress or anxiety3. Pituitary stalk compression4. Estrogen therapyPituitary stalk transection is a non-negligible cause of growth hormone (GH) deficiency.